Plasmacytoid lymphomas may be associated with increase in
1. IgG
2. IgM
3. IgA
4. IgE

Correct answer: 2. IgM

Explanation: Lymphoplasmacytic lymphoma is a B-cell neoplasm composed of small lymphocytes, plasmacytoidlymphocytes, and plasma cells, which typically affects older adults. There is maturation to plasmacytoid cells, but lacking the features of other lymphomas (pseudofollicles, neoplastic follicles, monocytoid B cells). lymph nodes; the pattern is diffuse or interfollicular, sparing the sinuses. The infiltrate consists of small lymphocytes,plasmacytoid cells and plasma cells Immunoblasts, epithelioid histiocytes and mast cells may be present. bone marrow; diffuse, nodular or interstitial infiltration. The consensus panel requires bone marrow involvement for the diagnosis of WM4. There may be circulating neoplastic cells, but the count is lower than for CLL